Which of the following accumulates in the body in type 3 Hyperlipoproteinemia
1. LDL
2. HDL
3. Chylomicron remnants
4. Chylomicron

Correct answer: 3. Chylomicron remnants

Explanation: Type III hyperlipoproteinemia is due to defect in ApoE. Chylomicron remnants and VLDL remnants gets elevated in the body.